Iron absorption is inhibited by ?
1. Ascorbic acid
2. Vitamin C
3. Hepcidin
4. All of the above

Correct answer: 3. Hepcidin

Explanation: Ans. is 'c' i.e., Hepcidin